Which of the following is not a derivative of external obligue Apo neurosis
1. Pectineal ligament
2. Inguinal ligament
3. Lacunar ligament
4. Linea seminularis

Correct answer: 4. Linea seminularis